All of the following drugs are used in emergency management of acute hyperkalemia except:
1. Calcium gluconate
2. Salbutamol
3. Glucose-Insulin
4. Intravenous magnesium sulphate

Correct answer: 4. Intravenous magnesium sulphate

Explanation: Treatment of Hyperkalemia: IV Ca gluconate Insulin drip Salbutamol/ nebulization IV Furosemide Hemodialysis